A female comes with froathy, green vaginal discharge of 5 days duration. There was "strawberry cervix" on examination. Drug of choice for the infection is:
1. Metronidazole
2. Tetracycline
3. Fluconazole
4. Ciprofloxacin

Correct answer: 1. Metronidazole

Explanation: Above symptoms are suggestive of infection by Trichomonas.vaginalis, which is treated by  T.Metronidazole 2g stat (or T.Secnidazole 2g stat)